Treatment of pseudocyst of pancreas include ?
1. Cystogastrostomy
2. Cystojejunostomy
3. Excision of the cyst
4. All

Correct answer: 4. All

Explanation: Ans is d i.e. All of the above